Treatment of OCD includes which of the following
1. Exposure and response prevention
2. Eye moment desensitization
3. Sensate focus therapy
4. Dual partner therapy

Correct answer: 1. Exposure and response prevention

Explanation: Exposure and responce prevention : OCD
Eye moment desensitization : Post traumatic stress disorder.
Dual sex therapy & sensate focus therapy : Premature ejaculation.